What is the commonest tumour to metastasize to the orbit in children?
1. Hodgkin's lymphoma
2. Myeloid leukemia
3. Neuroblastoma
4. Medulloblastoma

Correct answer: 3. Neuroblastoma

Explanation: METASTATIC ORBITAL TUMOURS : These involve the orbit by haematogenous spread from a distant primary focus and include the following: * Neuroblastoma -- from adrenals and sympathetic chain. Nephroblastoma --from kidneys. Carcinoma -- from lungs, breast, prostate, thyroid and rectum. Malignant melanoma -- from skin. Ewing's sarcoma --from the bones. Leukaemic infiltration. Commonest tumor to metastasize in children is Neuroblastoma-Raccoon eye sign due to periorbital ecchymosis.